Emergency management for Tension pneumothorax is:
1. Thoracotomy
2. Insertion of a chest tube
3. Needle decompression
4. Tracheostomy

Correct answer: 3. Needle decompression

Explanation: Ans. C: Needle decompression Management of tension pneumothorax: Immediately place the patient on 100% oxygen. Perform emergency needle decompression without hesitation The basic principle or emergent needle decompression is to introduce a catheter into the pleural space, thus producing a pathway for the air to escape and relieving the built-up pressure. Although this procedure is not the definitive treatment for tension pneumothorax, emergent needle decompression does arrest its progression and serves to restore cardiopulmonary function slightly. Tube thoracostomy is the definitive treatment for tension pneumothorax, and needle decompression mandates an immediate follow up with a tube thoracostomy.